Treatment of choice for molar pregnancy is
1. Expectant management
2. Medical termination
3. Dilatation and evacuation
4. Chemotherapy

Correct answer: 3. Dilatation and evacuation

Explanation: Regardless of uterine size, molar evacuation by suction curettage is usually the preferred treatment.Reference: William's Obstetrics; 25th edition, chapter 20; Gestational trophoblastic diseases